The length of the small bowel in a full term newborn is:
1. 250 cm
2. 500 cm
3. 750 cm
4. 100 cm

Correct answer: 1. 250 cm

Explanation: Length of small bowel in newborn : 250 cm.Length of small bowel in adults : 600 - 800 cm.